The triangular area bounded by clitoris, fourchette and labia minora is:
1. Fossa navicularis
2. Ventricle
3. Vestibule
4. Vulva

Correct answer: 3. Vestibule

Explanation: Ans. is c, i.e. VestibuleRef: COGDT 11th/ed, p26Vestibule is the triangular area bounded anteriorly by the clitoris, posteriorly by Fourchette and on either side by labia minora.